Hypoxemia independent of
1. FiO2
2. Altitude
3. Hb
4. PaCO2

Correct answer: 3. Hb

Explanation: Hypoxemia is a condition of decreased arterial po2.Ref: Ganong review of medical physiology 24th edition Page no: 649